1st carpal bone to ossify?
1. Scaphoid
2. Lunate
3. Capitate
4. Hamate

Correct answer: 3. Capitate

Explanation: ANS. C* Capitate: 1-3 months* Hamate: 2-4 months* Triquetral: 2-3 years* Lunate: 2-4 years* Scaphoid: 4-6 years* Trapezium: 4-6 years* Trapezoid: 4-6 years* Pisiform: 8-12 yearsOther important ages of ossification1. Iliac crest: Appears by 14 years and fuses by 18 years2. Ischial tuberosity: Appears by 16 years and fuses by 19 years3. Coracoid process: Ossifies by 14 years4. Acromion process: Ossifies by 17 years5. Elbow and ankle: Fuses by 16 years6. Humerus: Fuses by 17 years7. Femur: Fuses by 18 years8. Wrist and knee: Fuses by 18 years